Dirty grey shadowing on ultrasound is seen with:
1. Air
2. Bone
3. Calcification
4. Muscle

Correct answer: 1. Air

Explanation: Posterior to air filled structures due to high percentage of reflection & small percentage of transmission, dirty grey shadowing occurs. The Above image shows the Dirty Grey Shadowing seen associated with presence of Air Dark Clean Shadow will be seen with Calculi as all utrasound waves are reflected with no transmission Dark Clean Shadow seen Associated with Large Vesical Calculus